Bag of worms sensation in scrotum on palpation:
1. Varicocele
2. Epididymal cyst
3. Hydrocele
4. Spermatocele

Correct answer: 1. Varicocele

Explanation: Ans. (a) VaricoceleRef: Bailey and Love 27th Edition, Page 1502* Varicocele is most common on left side* Clinical examination shows Bag of Worm feeling and Cough impulse+ and Empties on lying down* Grades:# Grade 1: Diagnosed on USG only, not palpable# Grade 2: Palpable# Grade 3: Visible